In HIV patient with malabsorption, fever, chronic diarrhea, with acid fast positive organism, What is causative agent?
1. Giardia
2. Microsporidia
3. Isospora
4. E. histolytica

Correct answer: 3. Isospora

Explanation: Ans. (c) Isospora Isospora belli (Cytoisosporiasis) Coccidian parasite Site of infection - Epithelial cells of small intestine where schizogony (sickle shaped merozoites are formed) as well as sporogony occur. Infective stage-Mature oocyst. (forms outside the human body) containing two sporocyst with four sporozoites each. Mode of transmission-Ingestion of mature oocyst in food or drink. Clinical features Usually asymptomatic or abdominal discomfort, mild fever and diarrhea in self-limited manner Protracted diarrhea can occur in immunocompromised person especially in HIV patient. - Diagnosis-demonstration of acid fast oocyst in fecal smears. Treatment Cotrimoxazole is effective It is easy to treat but relapses are common in comparison to diarrhea of cryptosporidium Oocyst of cryptosporidium is small, hard and is fully mature on release while that of isoopora oocyst is large, transparent, thin walled, flask shaped and mature outside the human body.